Treatment of patient with Infertility and Endometriotic cyst of 8 cms is:
1. IUI as early as possible, to utilize the remaining fertility potential
2. Surgery first & then infertility treatment
3. Danazol first and then IUI/IVF
4. Ovulation induction and follow fertile period

Correct answer: 2. Surgery first & then infertility treatment

Explanation: An infertile patient with endometriotic cyst is best treated by excision of the cyst followed by medical treatment of infertility including ovulation induction, IUI or assisted reproduction. Surgical management of endometriosis broadly includes: 1. Patients with infertility: Laparoscopic ovarian cystectomy, adhesiolysis, and electrocoagulation of endometriotic implants 2. If the Family is complete and the patient has severe pain or menstrual complaints: Hysterectomy with bilateral salpingo-oophorectomy.